Most mature normoblast is
1. Ohochromic Normoblast
2. Pronormoblast
3. Polychromatic Normoblast
4. Basophilic Normoblast

Correct answer: 1. Ohochromic Normoblast

Explanation: Development of the red blood cells take place in the following order: Erythroblast /Pronormoblast - Basophilic /Early Normoblast - Polychromatic/ Intermediate Normoblast - Ohochromic /Late normoblast - Reticulocyte - Red blood cell - Maturity increases & size decreases in the following order. - Thus, Ohochromic normoblast is most mature normoblast